The fungus with septate hyphae and dichotomous branching is -
1. Aspergillus
2. Penicillium
3. Mucor
4. Rhizopus

Correct answer: 1. Aspergillus

Explanation: Septate hyphae with dichotomous branching into two equal divisions at a regular angle of 45° are typical of Aspergillus.
Mucor and Rhizopus are non-septate (aseptate) and Penicillium has no hyphae (It is yeast like a fungus).